True about autism -
1. Occurs in high economic striata
2. Normal communication
3. Starts before 2-3 years of age
4. More common in girls

Correct answer: 3. Starts before 2-3 years of age

Explanation: Ans. is 'c' i.e., Starts before 2-3 years of age Autism o Autism is a neurologic disroder characterized by ? Qualitative impairment in social interaction Qualitative impairment in communication. Restricted repetitive and streotyped patterns of behaviour, interests, and activities. Onset of symptoms is usually before 3 years of age. 3-5 times more common in boys, but more severe when occurs in girls. o More common among low socio-economic groups. Clinical features Impairment in communication Impairment in social interaction Inability to concentrate Restricted repetitive and streotypes patterns of behaviour, interests and activities. Failure to acquire speech. Approximately 75% of children with autism are mentally retarded. Epilepsy develops in approximately one-fifth to one-third individuals. Half of autistic patients have abnormalties on EEG.